Which drug interfers with pyridoxine metabolism -
1. INH
2. Tetracycline
3. Erthromycin
4. Rifampicin

Correct answer: 1. INH

Explanation: Ans. is 'a' i.e., INH o Isoniazid reacts with pyridoxal to form a hydrazone, and thus inhibits gneration of pyridoxal phosphate.o Isoniazid also combines with pyridoxal phosphate to interfere with its coenzyme function. Due to formation of hydrazones, the renal excretion of pyridoxine compounds is increasedo Thus, isoniazid therapy produces a pyridoxine deficiency state.